Parietal abscess is also known as
1. Gingival abscess
2. Periodontal abscess
3. Periapical abscess
4. Periodontal cyst

Correct answer: 2. Periodontal abscess